Following is seen in both apoptosis and necrosis:
1. Both may be physiological
2. Both may be pathological
3. Inflammation
4. Intact cell membrane

Correct answer: 2. Both may be pathological